Which of the following is not a contraindication for use of digitals
1. Acute rheumatic carditis
2. Thyrotoxicosis
3. WPW syndrome
4. Hyperkalemia

Correct answer: 4. Hyperkalemia

Explanation: Ref-KDT 6/e p499 Hyperkalemia is not a contraindication for use of digitals as it is used in many of the drugs